Blow out fracture of orbit most commonly leads to fracture of
1. Lateral wall
2. Roof of orbit
3. Medial wall of orbit
4. Posterior-medial wall of floor

Correct answer: 4. Posterior-medial wall of floor

Explanation: This fracture usually occurs where the bone is thinnest, along with the paper-thin floor of the orbit over the maxillary sinus. The ring-shaped bony orbital rim usually remains intact. The fracture can result in protrusion and impingement of orbital fat and the inferior rectus and its sheaths in the fracture gap.